Which of following is not rapid acting insulin?
1. LISPRO
2. ASPA
3. GLARGINE
4. GLULISINE

Correct answer: 3. GLARGINE

Explanation: Insulin: Indication: - DM type 1- Uncontrolled DM 2- Gestational DM- DK- Hyperkalemia Preparations: All insulin preparation are given by - Sub cutaneous route Regular insulin also be given by - IV route All insulin preparation are at - Neutral pH Glargine is at acidic pH (<4)(No insulin should be mixed with it) S/E of insulin: Hypoglycemia